The toxic substance responsible for floppy baby syndrome is
1. Lithium
2. Cadmium
3. Antimony
4. Barium

Correct answer: 1. Lithium

Explanation: It is seen in newborn babies breastfed by lithium-ingesting mothers due to disruption of afferent inputs from stretch receptors. Manifesting as hypotonicity, lethargy, and cyanosis (floppy baby syndrome).